A female in the emergency department is found to have CSF rhinorrhea following a motor vehicle accident. What is the first line of treatment for CSF rhinorrhoea in this patient?
1. Immediate plugging of nose with petroleum gauze
2. Forceful blowing of nose
3. Craniotomy
4. Observation for 7 - 10 days with antibiotic therapy

Correct answer: 4. Observation for 7 - 10 days with antibiotic therapy

Explanation: Early cases of post-traumatic CSF rhinorrhea are managed conservatively by placing the patient in semi-sitting position, avoiding blowing of nose, sneezing and straining. Prophylactic antibiotics are also administered to prevent meningitis. Persistent cases of CSF rhinorrhoea are treated surgically through nasal endoscopic or intracranial approach. Nasal endoscopic approach is useful for leaks from the frontal sinus, cribriform plate, ethmoid or sphenoid sinuses.